Socratic of education consist of all except -
1. Lecture
2. Group discussion
3. Seminar
4. Panel discussion

Correct answer: 1. Lecture

Explanation: - Socratic method is a two way method of communication in which both the communicator and the audience take part. - it includes seminar, group discussion , panel discussion. Reference : Park's textbook of preventive and social medicine, 23rd edition, pg no:855